Beta blockers are antiarrhythmic agents of type:
1. I
2. II
3. III
4. IV

Correct answer: 2. II

Explanation: II